Most common ligament injured in ankle sprain?
1. Anterior talofibular
2. Posterior talofibular
3. Deltoid
4. Calcaneofibular

Correct answer: 1. Anterior talofibular

Explanation: Ans. A. Anterior talofibular. (Ref. Maheshwari orthopaedics 3rd/pg. 140)Maheshwari orthopaedics 3rd/pg. 140:"Commonly the lateral collateral ligament is sprained, mostly so anterior talo-fibular component".SPRAINED ANKLEDefinition:# Term used for ligamnet injuries of the ankle.# Commonly the lateral collateral ligament is sprained, mostly so anterior talo-fibular component.# Sometimes a eversion force may result in a sprain of the medial collateral ligement of the ankle.Grade of sprainRxGrade IBelow knee cast for 2 weeks followed by mobilization.Grade IIBelow knee cast for 4 weeks followed by mobilization.Grade IIIBelow knee cast for 6 weeks followed by mobilization.Diagnosis:If a torn ligament is subjected to stress by respective manoeuver's treatmnet, the patinet expiriences severe pain:Inversion of a planter-flexed footfor anterior talo-fibular ligament sprain.Inversion in a neutral positionfor complete lateral collateral ligament sprain.Eversion in a neutral positionfor medial collateral ligament sprain.Radiological examination:# x-rays of ankle are usually normal. However, a tilt of the talus > 20deg on forced inversion or eversion indicates a complete tear of the lateral or medial collateral ligement respectively.# MRI is best tool to detect and evaluate ligament injuries.0Rx:However, tresnt today to Rx ligament injuries in general is by 4functional9 method i.e. without immobilation.The Rx consist of RICE:R I C E = Rest, Ice-packs, Compression and Elevation for first 2-3 days.